Rotator interval is between -
1. Supraspinatus & teres monor
2. Teres major & teres minor
3. Supraspinatus & subcapsularis
4. Subscapularis & infraspinatus

Correct answer: 3. Supraspinatus & subcapsularis

Explanation: Rotator interval is a triangular portion of shoulder capsule which lies between supraspinatous and subscapularis tendon.